True about local anaesthetic agents
1. Duration depends on protein binding
2. Potency depends upon lipid solubility
3. LA with low PK is more active
4. All

Correct answer: 4. All

Explanation: All i.e. A, B, C